Harakiri wound is self inflicted injury to
1. Neck and chest
2. Wrist and chest
3. Neck and wrist
4. Abdomen

Correct answer: 4. Abdomen

Explanation: (D) Abdomen # Harakiri was originally a means of suicide.> Stab wounds and incised wounds in the abdomen, virtually equivalent to harakiri.> Sudden evisceration of internal organs cause sudden decrease of intra abdominal pressure and cardiac return producing sudden cardiac collapse.